Tritanopes have defective assessment of whichcolor ?
1. Red
2. Blue
3. Green
4. Yellow

Correct answer: 2. Blue

Explanation: Ans. is `b' i.e., Blue Colour Defective Absent GreenRedBlue DeuteranomalousProtanomalousTritsnomalous DeuteranoPtaProtanopiaTritanopia